An intern while doing Scalp suture injured his index finger. Which is not done
1. Show the finger in Running Water
2. Injury during Suturing more common in Non Dominant Index Finger
3. Should inform authorities
4. HIV transmission high in surgical needle injury

Correct answer: 4. HIV transmission high in surgical needle injury

Explanation: After Contamination Prevention in HIV:- * Needle stick injury is commonest on Non Dominant Index Finger during Surgery. * Hollow needles used for injection carries high risk than surgical needles. * Injured part is washed under running water. * Incidence is reported to authorities. * Local policies decide on ART treatment. * Post exposure testing is done. Bailey and Love 27th Edition; pg num:- 52,